Coagulation defect involving both the arterial and venous system is seen in
1. Factor V Leiden
2. Protein C deficiency
3. Antithrombin III deficiency
4. Hyperhomocystinemia

Correct answer: 4. Hyperhomocystinemia

Explanation: Ans. d (Hyperhomocystenimia) (Ref. H-17th/367; Table 59-3)Homocystinuria reflects homocystlnemia which is associated with ectopia lentis, intellectual disability and throm- boembolic disorders as well as arteriosclerosis. There are three enzyme deficiencies known to cause the disorder as well as deficiencies of the cofactors pyridoxine, cobalamin and folate. Lipid deposition in plaques is characteristically absent. Homocysteine exists in plasma as the mixed disulfide homocysteine cysteine, as free and as protein bound homocysteine.VenousVenous and ArterialInheritedInheritedFactor V LeidenHomocystinuriaProthrombin G20210ADysfibrinogenemiaAntithrombin deficiencyMixed (Inherited and acquired)Protein C deficiency Protein S deficiencyHyperhomocysteinemiaElevated FVIIIAcquiredAcquiredMalignancyAgeAntiphospholipid antibody syndromePrevious thrombosisHormonal therapyImmobilizationPolycythemia veraMajor surgeryEssential thrombocythemiaPregnancy & puerperiumParoxysmal nocturnal hemoglobinuriaHospitalizationThrombotic thrombocytopenic purpuraObesityHeparin-induced thrombocytopeniaInfectionDisseminated intravascular coagulationAPC resistance, nongenetic Unknown0 Elevated factor II, IX, XI Elevated TAFI levels Low levels of TFPI